The most distinctive feature of pathogenic Entamioeba histolytica on fresh stool examination is -
1. Presence of active pseudopodia
2. Erythrophagocytosis
3. Presence of intracytoplasmic vacuole
4. Presence of two nucleoli

Correct answer: 2. Erythrophagocytosis

Explanation: Microscopic appearance of ENTAMOEBA HISTOLYTICA-The cellular exudate is scanty and consists of a few pus cells, epithelial cells and macrophages. The red cells are aggregated and yellowish or brownish red in colour. Charcot-Leyden crystals are often present. But this finding is only suggestive, because they may also occur in some other bowel disorders such as ulcerative colitis and malignancy. In freshly passed motion unmixed with urine or antiseptics, actively motile trophozoites of E.histolytica can be demonstrated in unstained saline mounts. The presence of ingested erythrocytes clinches the identity of E.histolytica, as they are not found in any other intestinal amoeba. Stained films may not be necessary as a routine for diagnosis in acute cases, but trichrome or iron-haematoxylin stained films provide the most dependable identification and differentiation TEXTBOOK OF MEDICAL PARASITOLOGY,CKJ PANIKER,6TH EDITION,PAGE NO 24